Headache, apathy and deteriorating level of consciousness occurring weeks after head injury suggests;
1. Chronic subdral haematoma.
2. Pontine hemorrhage
3. Continuing cerebral.
4. Depressed skull fracture.

Correct answer: 1. Chronic subdral haematoma.

Explanation: Chronic subdral haematoma